Relative risk is calculated in?
1. Cross sectional study
2. Cohort study
3. Case control study
4. None

Correct answer: 2. Cohort study

Explanation: Ans. is 'b' i.e., Cohort study CharacteristicsCohort StudyCase control StudyCross Sectional StudyDesignProspectiveRetrospectiveOne point in timeIncidenceEstimatedNot estimatedNot estimatedPrevalenceNot estimatedNot estimatedEstimatedCalculationso Incidence rateso Relative risko Attributable risko Odds ratio